Which bone scan is done to detect metastasis bone
1. Tc99 MDP
2. Th201
3. Tc99 DMSA
4. Tc99 sulphur colloid

Correct answer: 1. Tc99 MDP

Explanation: Tc99 MDP - bone scanTh201-myocardial imagingTc99 DMSA-Renal cortical scintigraphyTc99 sulphur colloid - Liver and spleen scintigraphy(Ref: Radiology Review ManualBy Wolfgang Dahnert 6thEtd, Page no:1084)